All are features of RPGN except
1. Rapid recovery
2. Crescent formation
3. Hypertension
4. Non-selective proteinuria

Correct answer: 1. Rapid recovery

Explanation: Answer is A (Rapid recovery) : RPGN is characterised by rapidly progressive renal disease which culminates in End stage renal disease (ESRF) within months after onset. Recovery is rare. RPGN is characterized by a Subacute glomerular inflammation with : Nephritic urinary sediment, i.e. RBC casts, WBC casts Sub-nephrotic non-selective proteinuria (proteinuria < 3.5 g/24 hr) (selective proteinuria is a feature of minimal change disease) Oliguria and Edema Hypertension Presence of crescents pathologically